Which of the following is an ionic channel ?
1. a -1 receptors
2. b - 1 receptors
3. Nicotinic cholinergic receptors
4. Muscarinic cholinergic receptors

Correct answer: 3. Nicotinic cholinergic receptors

Explanation: Ans. is 'c' i.e., Nicotinic cholinergic receptors